Classification of diseases by WHO is under
1. ICD
2. DSM
3. ICF
4. CDC

Correct answer: 1. ICD

Explanation: (A) ICD# ICD-10 is the 10th revision of the International Statistical Classification of Diseases & Related Health Problems (ICD), a medical classification list by the World Health Organization (WHO).> It contains codes for diseases, signs and symptoms, abnormal findings, complaints, social circumstances, and external causes of injury or diseases.